Screening procedure is best for Ca of -
1. Prostate
2. Colon
3. Gastric
4. None

Correct answer: 2. Colon

Explanation: .screening is best suited in the case of certain disease. one among the following is carcinoma colon, the disease can be screened if it satisfies the following conditions such as, *an important health problem it must be *there should be a recognisable latent or early asymptomatic stage. *natural history of condition *tets that detect the disease prior to the onset of symptoms *an effective treatment. ref:park's textbook ,22 nd edition,pg no 131